Transposition of the great arteries is a cardiac malformation that involves which of the following septa?
1. Aorticopulmonary septum
2. Atrial septum
3. Atrioventricular septum
4. Interventricular septum

Correct answer: 1. Aorticopulmonary septum

Explanation: Transposition of great vessels involves the Aorticopulmonary septum due to improper spiraling of AP septum fig;- transposition of great arteries Other AP septum disease:- 1.PTA(persistent truncus arteriosus) - due to absence of migration of NCC to truncus arteriosus. 2. TOF( tetrology of fallot):- due to anterior migration of AP septum. Defect in atrial septum lead to ASD. Defect in interventricular septum lead to VSD.